EMLA cream is effective in all except
1. Venous cannulation
2. Circumcision
3. Lumbar puncture
4. Intubation

Correct answer: 4. Intubation

Explanation: EMLA (Eutectic Mixture of Local Anesthetic) cream consists of a 1:1 mixture of 2.5% lidocaine and 2.5% prilocaine Local anesthetics can easily penetrate mucous membranes but intact skin requires a high concentration of lipid soluble anesthetics as in EMLA. The mixture provides analgesia upto a depth of 5 mm which lasts for 1-2 hours. EMLA can provide adequate dermal analgesia for procedures like: Split thickness skin-graft harvesting Venipuncture Laser removal of port wine stains Lithotripsy Circumcision Skin blanching, erythema, and edema may be seen as side effects. Prilocaine in large doses can cause methemoglobinemia. And so EMLA cream should not be used on mucous membranes, broken skin, infants younger than 1 month of age, or patients with a predisposition to methemoglobinemia.